What is to be addressed first in case of polytrauma -
1. Circulation
2. Blood Pressure
3. Airway
4. Neurology

Correct answer: 3. Airway

Explanation: Ans. is 'c' i.e., Airway Unfallchirurg (in German) 107]o Advanced trauma life support (commonly abbreviated ATLS) is a training program for medical providers in the management of acute trauma cases, developed by the American College of Surgeonso 1 Primary survey- it should be done first when any polytrauma patient presents in the following order# Airway maintenance with cervical spine protection# Breathing and ventilation# Circulation with hemorrhage control# Disability/Neurologic assessment# Exposure and environmental controlo 2 Secondary survey- complete history and examination